The following are true about Acinetobacter except:
1. Nosocomial pathogen
2. Facultative anaerobe
3. Saprophytic
4. Gram negative coccobacilli

Correct answer: 2. Facultative anaerobe

Explanation: Acinetobacter is : Gram negative coccobacilli Obligate aerobe Saprophytic (present in soil and water in environment) Recently identified as an important nosocomial pathogen causing several hospital outbreaks Causes infections like: VAP, CLABSI, CAUTI etc.